Self-inﬂicted bites are seen in:
1. Lesch-Nyhan syndrome
2. Friese Maria syndrome
3. Cockayne syndrome
4. Brodie syndrome

Correct answer: 1. Lesch-Nyhan syndrome

Explanation: Lesch-Nyhan syndrome:

Inherited X-linked recessive disorder, affects only males.
Enzyme defect – hypoxanthine guanine phosphoribosyl transferase (HGPRT)
Characterized by excess production of uric acid leading to GOUT.
Self-mutilation – bite their fingers and lips.
Neurological abnormalities like mental – retardation, aggressive behavior, learning disability occur.
Neurological symptoms may be due to dependence of brain on the salvage pathway.
Nephrolithiasis – leads to renal failure.